Live vaccines are -
1. TT
2. BCG
3. DPT
4. All

Correct answer: 2. BCG

Explanation: Ans. is 'b' i.e., BCG